Mitochondrial DNA is:
1. Circular double stranded
2. Circular single stranded
3. Linear double helix
4. None of these

Correct answer: 1. Circular double stranded

Explanation: Ans A. Circular double strandedMitochondria and chloroplast are the only two semi -autonomous organelles present in the cell. And DNA present is circular double stranded.